A young male is brought unconscious to the hospital with external injuries. CT brain showed no midline shift but multiple tiny haemorrhages in the brain . What is the likely diagnosis?
1. Cerebral contusion
2. Cerebral laceration
3. Multiple infarcts
4. Diffuse axonal injuries

Correct answer: 4. Diffuse axonal injuries

Explanation: Diffuse axonal injury :- - occurs due to shearing of white matter - occurs mainly because of rotational acceleration - shows multiple petechial hemorrhages; usually at the junction of white and grey matter - CT Scan may be normal in some cases. so, MRI is the investigation of choice MRI is the preferred investigation in Diffuse Axonal Injury. Young patient with A- NCCT- normal/ Petechial hemorrhages- Suspect Diffuse axonal injury- MRI (IOC for DAI) Diffuse Axonal Injury (DAI) on NCCT image.